Hernia that is least likely to strangulate is -
1. Femoral hernia
2. Direct inguinal hernia
3. Indirect inguinal hernia
4. Umbilical hernia

Correct answer: 2. Direct inguinal hernia

Explanation: "As the neck of the sac is wide direct inguinal hernias do not often strangulate".

A hernia is said to be strangulated when the blood supply of its content is seriously impaired.
Most constricted part of the hernia is its neck.
Therefore strangulation develops in hernias in which neck is constricted.
Femoral hernias have the highest rate of all strangulated hernias (5-20%) because the neck of a femoral hernia is very narrow.
Indirect inguinal hernias do not strangulate as often as femoral hernias but strangulate more than a direct hernia.
In umbilical hernia strangulation varies with age -

In infants the hernias closes spontaneously so there is no chance of strangulation.
In adult strangulation is a frequent complication.